Reason for hot teeth is :
1. Presence of lignocaine resistant sodium channels.
2. Presence of abnormal neuroreceptors
3. Presence of tetradotoxin resistant sodium channels.
4. Presence of lignocaine resistant K channels

Correct answer: 3. Presence of tetradotoxin resistant sodium channels.